O2 which is about 21% of inspired air exerts a partial pressure of
1. 160 mmHg
2. 240mmHg
3. 580mmHg
4. 760mmHg

Correct answer: 1. 160 mmHg

Explanation: In inspired air, partial pressure of O2- 158mmHg